Hydrochloric acid is produced by?
1. G-cell
2. D-cell
3. Oxyntic cells
4. Chief cells

Correct answer: 3. Oxyntic cells

Explanation: Ans. C Oxyntic cellsRef: Ganong, 23rd ed. pg. 431-32Secretion in Stomach* Oxyntic cell (parietal cell) secretes: HCl and intrinsic factor of castle* Chief cell (zymogen or peptic cell) secrete: pepsinogen* G cell secrete: Gastrin* D cell secrete: Somatostatin* ECL cells secrete: Histamine